Which of the following bacteria is classified as facultative anaerobe?
1. Pseudomonas
2. Bacteroides
3. Escherichia
4. Clostridium

Correct answer: 3. Escherichia

Explanation: Facultative anaerobes which are ordinarily aerobic but can also grow in the absence of oxygen though less abundantly. Most bacteria of medical importance are facultative anaerobes Other anaerobic: Clostridium, refer the image Ref: Ananthanarayan & paniker's Textbook of Microbiology 9th edition pg no:24